All of the following are post-translational effects of histone except
1. Acylation
2. Methylation
3. Phosphorylation
4. Glycosylation

Correct answer: 4. Glycosylation

Explanation: Histones are the Most Abundant Chromatin ProteinsHistones are a small family of closely related basic proteins. Nucleosomes contain four major types of histones: H2A, H2B, H3, and H4.These four core histones are subject to at least six types of covalent modification or posttranslational modifications (PTMs): acetylation, methylation, phosphorylation, ADP-ribosylation, monoubiquitylation, and sumoylation. These histone modifications play an important role in chromatin structure and function.Ref: Harper's Biochemistry; 30th edition; Chapter 35 DNA Organization, Replication, & Repair